Type of schizophrenia with intellectual disability:
1. Von-Gogh syndrome
2. Paranoid schizophrenia
3. Catatonic schizophrenia
4. Pfropf schizophrenia

Correct answer: 4. Pfropf schizophrenia

Explanation: Ans. Pfropf schizophrenia